Vitamin D deficiency has all of the following except?
1. Hypocalcemia
2. Increased SAP
3. Increased PTH
4. Hyperphosphatemia

Correct answer: 4. Hyperphosphatemia

Explanation: Vitamin D deficiency leads to Hypocalcemia. This results in secondary increase in PTH. This PTH now acts on proximal convoluted tubule to cause loss of phosphate. The increased bone turnover causes an increase in serum alkaline phosphate. Important calcium/phosphate and SAP fluctuations. Condition Rickets Hyperparathyroidism Osteoporosis Paget Disease Chronic Renal Failure Serum calcium Less Increased Normal Normal Less Serum phosphate Less Less Normal Normal Increased SAP Increased Increased Normal Disproportionate increased Increased PTH Increased Increased Normal Normal Increased